Tongue muscles are derived from -
1. Occipital somites
2. Pharyngeal pouch
3. Hypobranchial emminence
4. Neural crest Palate

Correct answer: 1. Occipital somites

Explanation: Musculature of the tongue is mainly derived from myoblasts originating in the occipital somites. Thus, the tongue musculature is innervated by hypoglossal nerve.